Keratin in skin is softer than keratin in nail because keratin in skin has -
1. Less number of disulphide bonds
2. Less number of salt bridges
3. High sodium content
4. Different affinity for water

Correct answer: 1. Less number of disulphide bonds

Explanation: The extent of keratin hardness depends on the number of disulfide bonds/sulfur content. The more the number of disulfate bonds, the harder the keratin is.
Keratin in skin is softer than keratin in nails because it has less number of disulfide bonds.